Localization of an object is done by
1. Paralleling technique
2. Bisecting angle technique
3. Tube shift technique
4. Occlusal technique

Correct answer: 3. Tube shift technique